Recommended dose of prednisolone for the treatment of desquamative gingivitis?
1. Daily dose of 40 to 50 mg and maintenance dose of 5 to 10 mg
2. Daily dose of 30 to 40 mg and maintenance dose of 5 to 10 mg
3. Daily dose of 30 to 40 mg and maintenance dose of 10 to 20 mg
4. Daily dose of 40 to 50 mg and maintenance dose of 10 to 20 mg

Correct answer: 2. Daily dose of 30 to 40 mg and maintenance dose of 5 to 10 mg

Explanation: The recommended dose of prednisolone in the treatment of desquamative gingivitis is daily dose of 30 - 40mg and gradually reduced to daily maintenance of 5-10mg.